which of the following is a tri cyclic antidepressant
1. amitryptilline
2. fluoxetine
3. trazadone
4. bupropion

Correct answer: 1. amitryptilline

Explanation: knowlede about the classes of antidepressents is very important as they are frequently asked in examinations amitriptilline is a tri cyclic antidepressent Fluoxetine is a selective serotonin reuptake inibitor trazadone is a serotonin antagonist and reuptake inhibitor (SARI) Bupropion is a Noradrenaline and Dopamine reuptake inhibitor Ref.kalon and sadock, synopsis of psychiatry, 11 th edition, 1040